Adenovirus
1. Double stranded DNA
2. Enveloped
3. Complex symmetry
4. None

Correct answer: 1. Double stranded DNA

Explanation: (Double stranded DNA) (486- 87- A 7th)ADENOVIRUSES - are group of medium sized, non enveloped' double stranded DNA viruses that share a common complement fixing antigen. They infect humans, animals, and birds, showing strict host specificity* The vision has the appearance of a space vehicle* Acute hemorrhagic cystitis in children -associated with adenovirus -11* Generalized exanthem - associated with Adenovirus - 21